Alkalinization of urine ameliorates the toxicity of which of the following drugs
1. Arabinoside -cytosine
2. Ifosfamide
3. Cisplatin
4. Methotrexate

Correct answer: 4. Methotrexate

Explanation: refer Goodman Gilman 12/e p85 Alkalinization of urine speeds the clearance of weakly acidic drugs like. Aspirin Phenobarbitone Chlotpropapamide Methotrexate